A SAFE strategy is for?
1. Bacterial conjunctivitis
2. Viral conjunctivitis
3. Onchocercariasis
4. Trachoma

Correct answer: 4. Trachoma

Explanation: A SAFE strategy is used for trachoma
• S: Surgery for eyelid

A: Antibiotics
F: Facial hygiene
E: Environmental modifications